Gall bladder bile is different from hepatic bile in that it has:
1. Less fatty acids
2. Less water
3. More chloride
4. Less solids

Correct answer: 2. Less water

Explanation: Gall bladder contains less water (92 g/dl) compared to hepatic bile (97.5g/dl). Bile gets concentrated in the gall bladder as water and and large amount of electrolytes are absorbed are reabsorbed by the gall bladder mucosa. Comparison of gall bladder bile and hepatic bile: Liver bile Gall bladder bile Water 97.5 g/dl 92 g/dl Bile salts 1.1 g/dl 6 g/dl Bilirubin 0.04 g/dl 0.3 g/dl Cholesterol 0.1 g/dl 0.3 - 0.9 g/dl Fatty acid 0. 12 g/dl 0.3 - 1.2 g/dl Lecithin 0.04 g/dl 0.3 g/dl Sodium 145 mEq/l 130 mEq/l Potassium 5 mEq/l 12 mEq/l Calcium 5 mEq/l 23 mEq/l Chloride 100 mEq/l 25 mEq/l Bicarbonate 28 mEq/l 10 mEq/l Ref: Concise Textbook Of Physiology For Dental Students 2/e By Yogesh Tripathi, page 258